The larynx consists of:
1. 3 paired; 3 unpaired cartilage
2. 2 paired; 3 unpaired cartilage
3. 3 paired; 2 unpaired cartilage
4. 2 paired; 2 unpaired cartilage

Correct answer: 1. 3 paired; 3 unpaired cartilage

Explanation: The larynx consists of 3 unpaired and 3 paired cartilages: Unpaired cartilages Paired cartilages Thyroid Arytenoids Cricoid Corniculate Epiglottis Cuneiform